In lymphatic drainage of the breast, the major portion (about 75%) enters eventually into which group of nodes?
1. Central axillary lymph nodes
2. Deltopectoral lymph nodes
3. Lateral axillary lymph nodes
4. Parasternal lymph nodes

Correct answer: 1. Central axillary lymph nodes

Explanation: About 75% of the lymph draining the breast goes to the axillary lymph nodes, the pectoral lymph nodes. All of this lymph from the pectoral lymph nodes must drain to the central lymph nodes as well. This is why it is so important to examine all these groups of axillary lymph nodes when performing a breast exam. Most of the rest of the lymph drainage from the breast goes to the parasternal nodes, although a small amount goes to the opposite breast and a small amount drains to the abdominal wall. Ref: Morton D.A., Foreman K.B., Albertine K.H. (2011). Chapter 30. Shoulder and Axilla. In D.A. Morton, K.B. Foreman, K.H. Albertine (Eds), The Big Picture: Gross Anatomy.